Calcium in human milk is (mg/100gm) -
1. 200
2. 100
3. 70
4. 28

Correct answer: 4. 28

Explanation: Ans. is 'd' i.e., 28 Cow's milkHuman milkLactose (g)4.47.4Proteins (g)3.21.1Fat (g)4.13.4Calcium (mg)12028Iron (mg)0.21.0Water (g)8788Energy (Kcal)6765